Treatment of choice of stage 1A grade 1 endometrial carcinoma is:
1. Radiotherapy
2. Chemotherapy
3. Chemotherapy plus radiotherapy
4. None of the above

Correct answer: 4. None of the above

Explanation: Patients with stage 1A grade I endometrial carcinoma, tumor is limited to the endometrium and is effectively managed by total abdominal hysterectomy with bilateral salphingo- oophorectomy. Ref: Textbook of Obstetrics By D.C.Dutta, 6th Edition, Pages 329-334.